Chandler's index of 250 - 300 eggs / gm of stool indicate
1. Potential danger
2. Minor public health program
3. Important public health program
4. Not of much significance

Correct answer: 2. Minor public health program

Explanation: Below 200 - not of much significance
200 - 250 - potential danger
250 - 300 - Minor public health problem
Above 300 - Important public health problem.